Which of the following is the initial treatment of choice of Smith's fracture?
1. Open reduction and internal fixation
2. Open reduction and external fixation
3. Above elbow cast with forearm in pronation
4. Above elbow cast with forearm in supination

Correct answer: 4. Above elbow cast with forearm in supination

Explanation: Treatment of Smith's fracture involves closed manipulation followed by an above elbow plaster cast with elbow in flexion and forearm in full supination. Open reduction and internal fixation using buttress plate and screws is done when closed reduction fails. Reference: Essentials Of Orthopaedics & Applied Physiotherapy By Jayant Joshi page 113.